Which of the following is the main component of soda lime used in a closed circuit?
1. Sodium hydroxide
2. Barium hydroxide
3. Calcium hydroxide
4. Potassium hydroxide

Correct answer: 3. Calcium hydroxide

Explanation: Soda lime used in a closed circuit is a mixture of 5% sodium hydroxide and 95% calcium hydroxide. In a closed circuit, expired gas is passed through soda lime which completely absorbs carbon dioxide and the expired gas is then passed into a reservoir bag which is then reused. Absorbant should be changed when 50-70% has changed colour.